During skeletal muscle contraction
1. A band shorten
2. Both H & I band shorten
3. Both A & I band shorten
4. Both A & H band shorten

Correct answer: 2. Both H & I band shorten

Explanation: During muscle contraction, two Z lines come closer, A band remains constant, length of H & I band decreases.Ref: Guyton; 13th edition